Heberden's Arthropathy affects:
1. Lumbar spine
2. Symmetrically large joints
3. Sacroiliac joints
4. Distal interphalangeal joints

Correct answer: 4. Distal interphalangeal joints

Explanation: Heberden's node is a disfigurement of the interphalangeal joints as a result of severe osteoarthritis. Ref:Harrison's Principles of Internal Medicine, 16th Edition, Pages 2037, 2040